Which of the following structure is associated with Endolymph secretion?
1. Stria vascularis
2. Basilar membrane
3. Cochlear duct
4. Hensen cell

Correct answer: 1. Stria vascularis

Explanation: Endolymph is secreted by the secretory cells of the stria vascularis of the cochlea and by the dark cells. It fills the entire membranous labyrinth and resembles intracellular fluid, being rich in K ions.